Tetracyclines inhibit protein synthesis by acting on-
1. 30-S ribosome
2. 50-S ribosome
3. Both 30-S & 50-S ribosome
4. 60-S ribosome

Correct answer: 1. 30-S ribosome

Explanation: Ans. is 'a' i.e., 30-S ribosome Drugs binding to ribosome||||30-S ribosome50 -S ribosomeBoth 30-S & 50-So Tetracyclineo Streptomycino Chloramphenicolo Erythromycino Clindamycino Aminoglycosides (except streptomycin)Pleuromutilins (Retapamulin) new class of drug for topical treatment of impetigo due to MRSA and streptococcus. It acts by inhibiting protein synthesis after binding to 50 'S' ribosome.